C cells are present in
1. Thyroid gland
2. Parathyroid gland
3. Pituitary gland
4. Thymus

Correct answer: 1. Thyroid gland

Explanation: Cells of the ultimobranchial body give rise to the parafollicular or C cells of the thyroid gland. These cells secrete calcitonin, a hormone involved in regulation of the calcium level in the blood.Reference: Krishna Garg Histology; 5th edition; Page no: 230; 232